In the biosynthesis of urea, one nitrogen atom is derived from ammonia while the other nitrogen atom is from:
1. Glycine
2. Alanine
3. Aspartate
4. Glutamate

Correct answer: 3. Aspartate

Explanation: Nitrogens of urea are derived from:- N1 from ammonia N2 from Aspartate Source of urea Carbon and Nitrogen.